Pneumonic plague is spread by:
1. Bite of infected flae
2. Direct contact with infected tissue
3. Ingestion of contaminated food
4. Droplet infection

Correct answer: 4. Droplet infection

Explanation: Ans. is. 'd' i. e., Droplet infection